Bilateral hilar lymphadenopathy with non caseating granuloma is seen in
1. TB
2. Lymphoma
3. Sarcoidosis
4. All of the above

Correct answer: 3. Sarcoidosis

Explanation: Sarcoidosis: Sarcoidosis is a multisystem disease of unknown cause characterized by the presence of noncaseating granulomas in many tissues and organs. Noncaseating granuloma. Schaumann bodies-laminated concretions of calcium and proteins. Asteroid bodies-Stellate (star-shaped) inclusions within giant cells. Raised interleukin (IL)-2 results in T-cell expansion Anergy to skin test antigens, such as tuberculosis purified protein derivative (PPD) or as Candida.